A grape like, polypoid, bulky mass protruding through vagina in a 4-year-old girl is characteristic of:
1. Fibrosarcoma
2. Sarcoma botryoides
3. Leiomyosarcoma
4. Inflammatory polyp

Correct answer: 2. Sarcoma botryoides

Explanation: b. Sarcoma botryoides(Ref: Nelson's 20/e p 2468, Ghai 8/e 618 Sarcoma Botryoides)It is a variant of the embryonal form of RMSTumor cells & an edematous stroma project into a body cavity like a bunch of grapes.